In metabolic acidosis caused by diabetic ketoacidosis, which of the following would be greater than normal:
1. Concentration of plasma HCO3-
2. Anion gap
3. Arterial pCO2
4. All of the above

Correct answer: 2. Anion gap

Explanation: In diabetic ketoacidosis there is an increased production of acetoacetic and b-hydroxybutyric acids, which leads to an increase in plasma concentration of hydrogen ions. These fixed acids are buffered by all body buffers but mainly by bicarbonate. The concentration of plasma HCO3- is therefore below normal. The consumption of bicarbonate and the addition of the anions of the fixed acids to the plasma cause an elevation of the anion gap. The acidosis would stimulate the carotid body chemoreceptors (and eventually the central chemoreceptors) to cause an increase in ventilation, which decreases arterial pCO2-.